Thalidomide can be used in all of the following conditions EXCEPT?
1. Behcet syndrome
2. HIV associated peripheral neuropathy
3. HIV associated mouth ulcers
4. Erythema nodosum leprosum

Correct answer: 2. HIV associated peripheral neuropathy

Explanation: Thalidomide(banned in 1960 for its teratogenic effect- phocomelia) has anxiolytic, antiemetic, adjuvant analgesic/antipyretic properties and has been found to counteract cancer-associated cachexia. It probably acts by suppressing TNFcx and by modulating IL-2. It could cause peripheral neuropathy ESSENTIALS of MEDICAL PHARMACOLOGY SIXTH EDITION -KD TRIPATHI Page 835 T